Genetic alteration in which of the following chromosome can lead to oligodendroglioma?
1. Chromosome 3p
2. Chromosome 9q
3. Chromosome 13q
4. Chromosome 19q

Correct answer: 4. Chromosome 19q

Explanation: Loss of heterozygosity in chromosome 19q > 1p is the most common genetic alteration that can result in oligodendroglioma.